Amoxycillin is better than ampicillin due to :
1. Better bioavailability if taken with food
2. Lesser bioavailability if taken with food
3. Incidence of diarrhea is higher
4. More active against Shigella and H. influenza

Correct answer: 1. Better bioavailability if taken with food